Gingival enlargement with leathery consistency with characteristic minutely pebbled surface is seen in
1. Idiopathic gingival enlargement
2. Drug induced gingival enlargement
3. Pregnancy gingival enlargement
4. Puberty gingival enlargement

Correct answer: 1. Idiopathic gingival enlargement